What will be the BMI of a male whose weight is 89 kg and height is 172cm -
1. 27
2. 30
3. 33
4. 36

Correct answer: 2. 30

Explanation: BMI = weight in kg/ height in metre square = 89/1.72/1.72 =30.08. Ref-Park's textbook of Preventive and Social Medicine 24th edition. .